Jamais vu is-
1. Illusion that what one is hearing, one has heard previously
2. A unfamiliar thought regarded as repetition of a previous thought
3. Unfamiliar situations or events feel strangely familiar
4. Feeling of strangeness to familiar situation

Correct answer: 4. Feeling of strangeness to familiar situation

Explanation: Ans. is 'd' i.e., Feeling of strangeness to familiar situation o Jamais vu:- A feeling of strangeness to familiar situations or events.About other optionso Unfamiliar situations or events feel strangely familiar - Deja vuo Illusion that what one is hearing, one has heard previously - Deja etendu.o A unfamiliar thought regarded as repetition of a previous thought - Deja penseAlso remembero Confabulation:- Unintentional filling of gaps of memory with material which are untrue and fancifulo False memory syndrome:- A condition in which a person's identity and interpersonal relationships are centered on a memory of traumatic experience which is actually false, but in which the person is strongly convincedo Ganser syndrome:- Also known as syndrome of approximate answers. Ganser syndrome is an example of psychologic paramnesia characterized by - a) Approximate answer, b) Somatic conversion features, c) Pseudohallucinations and d) Clouding of consciousness.